In post burn paitent , true is
1. Hypokalemic alkalosis
2. Hyperkalemic alkalosis
3. Hyperkalemic acidosis
4. Hypokalemic acidosis

Correct answer: 3. Hyperkalemic acidosis

Explanation: In, burn there is destruction of red blood cells, which leads to hyperkalemia, Due to loss of fluid, perfusion of the organs also decreases this will lead to metabolic acidosis.